Abductor of hip joint is?
1. Gluteus maximus
2. Gluteus medius
3. Iliacus
4. Adductor magnus

Correct answer: 2. Gluteus medius

Explanation: Ans. B. Gluteus mediusMOVEMENTS OF HIP JOINT -FLEXIONlliacus, Psoas Major, Pectineus, Sartorius, Rectus FemorisEXTENSIONGluteus Maximus, HamstringsABDUCTIONGluteus Medius & Minimus, Tensor Fascia Lata, SartoriusADDUCTIONADDUCTOR Longus, Magnus & BrevisLATERAL ROTATIONObturator Externus & lnternus, Gemelli Superior & Inferior, Quadratus Femoris, Piriformis, Gluteus Maximus, SartoriusMEDIAL ROTATIONGluteus Medius & Minimus, Tensor Fascia Lata